Stain with parasite having charcot-laden crystals but no pus cells
1. Giardia
2. Tenia
3. E. histolytica
4. Trichomonas

Correct answer: 3. E. histolytica

Explanation: Ans. is 'c' i.e., E. histolytica Fecal finding in amoebiasis are :- i) Positive test for heme. ii) Paucity (lack) of neutrophils (pus cells). iii) Presence of amebic cysts or trophozoites iv) Charcot-leyden crystals. Remember Charcot leyden crystals are seen in E. histolytica 3. Ascaris pneumonia Whip worm (Trichuris) 4. Bronchial asthma